Assessment of pre-ductal O2 saturation in PDA of a 3 minute born infant is done at?
1. Fetal left Upper limb
2. Fetal left lower limb
3. Fetal Right Upper limb
4. Fetal right lower limb

Correct answer: 3. Fetal Right Upper limb

Explanation: - Preductal & postductal oxygen saturation parameters are used to detect R - L shunt at the level of foramen ovale & ductus arteriosus. - Pre - ductal O2 saturation in PDA: Always seen in RIGHT UPPER LIMB supplied by Right Subclavian artery- itself a branch of BRACHIOCEPHALIC TRUNK (branch of arch of aorta). It is not near to ductus arteriosus. So, no mixing of Pre or Post ductal blood. - Left hand is supplied by LEFT SUBCLAVIAN ARTERY Just distal to left subclavian artery is the ductus arteriosus. So, mixing of Pre and Post ductal blood can take place - Therefore, right upper limb is always considered for Pre-ductal O2 saturation. - Lower limbs are considered for post-ductal O2 saturation - Preductal O2 saturation of at least 3% above the postductal is evidence of right-to-left ductal shunting